Hemophilia B is due to deficiency of:
1. Factor VIII
2. Factor VII
3. Factor IX
4. Factor X

Correct answer: 3. Factor IX

Explanation: Hemophilia B -Aka Christmas disease -Deficiency of Factor 9 -X linked recessive Disorder Deficiency Hemophilia A Hemophilia B Hemophilia C Parahemophilia Factor 8 Factor 9 Factor 11 Factor 5